A child wakes up at night sweating and terrified does not remember the episode. Diagnosis ?
1. Narcolepsy
2. Nightmares
3. Night terrors
4. Somnambulism

Correct answer: 3. Night terrors

Explanation: Sleep terrors/ Night Terrors individual gets up from sleep with a panicky scream and intense anxiety, body motility and autonomic hyperactivity. individual ahs limited recall of the event. Ref: synopsis of psychiatry, 11e, pg 539.